Which of the following is / are characteristics of the Sjogren's syndrome?
1. Dry eyes
2. Dry mouth
3. Rheumatoid arthritis
4. All of the above

Correct answer: 4. All of the above

Explanation: Sjögren syndrome is a chronic, systemic autoimmune disorder that principally involves the salivary and lacrimal glands, resulting in xerostomia (dry mouth) and xerophthalmia (dry eyes). The effects on the eye often are called keratoconjunctivitis sicca (sicca means “dry”), and the clinical presentation of both xerostomia and xerophthalmia is also sometimes called the sicca syndrome. Traditionally, two forms of the disease are recognized:

Primary Sjögren syndrome (sicca syndrome alone; no other autoimmune disorder is present)
Secondary Sjögren syndrome (the patient manifests sicca syndrome in addition to another associated autoimmune disease)

Secondary Sjögren syndrome can be associated with almost any other autoimmune disease, but the most common associated disorder is rheumatoid arthritis. About 15% of patients with rheumatoid arthritis have Sjögren syndrome. In addition, secondary Sjögren syndrome may develop in 30% of patients with systemic lupus erythematosus (SLE).
Reference: ORAL AND MAXILLOFACIAL PATHOLOGY, Neville, FOURTH EDITION page no 434